Which of the following is a retroperitoneal structure?
1. Ileum
2. Jejunum
3. Ureter
4. Appendix

Correct answer: 3. Ureter

Explanation: Ureter